Pure Aryans have which type of skull -
1. Mesaticephalic
2. Brachycephalic
3. Dolicocephalic
4. None of the above

Correct answer: 3. Dolicocephalic

Explanation: Cephalic index (Index of Breadth) is Maximum Breadth of Skull / Maximum Length of Skull. From the Cephalic index, race can be determined in 85 - 90% of cases. The skull of an Indian is Caucasian with a few Negroid characters. Type of skull Cephalic index Race Dolicocephalic (long-headed) 70-75 Pure Aryans, Aborigines, Negroes Mesaticephalic (medium-headed) 75-80 Europeans, Chinese, Indians Brachycephalic (short-headed) 80-85 Mongolian Ref: 1.Dr. Narayana Reddy, The Essentials of Forensic Medicine & Toxicology, 34th edition, pg. 57. 2. V.V.Pillay, Textbook of Forensic Medicine & Toxicology, 18th edition, pg. 70.